A 5-year old patient with normal posterior occlusion and arch length is sufficient. Midline diastema with rotated teeth is present. Flow do you manage?
1. Frenectomy
2. Fixed appliance
3. Check for supernumerary teeth
4. It is normal feature of this age

Correct answer: 3. Check for supernumerary teeth